Pericardial space is present between -
1. Endocardium and pericardium
2. Epicardium and pericardium
3. Endocardium and epicardium
4. Parietal and visceral pericardium

Correct answer: 4. Parietal and visceral pericardium

Explanation: Ans. is 'd' i.e.. Parietal and visceral pericardium o Pericardial space (pericardial cavity) lies between parietal serous pericardium and visceral serous pericardium.